Which of the following is active in phosphorylated state?
1. Glycogen synthase
2. Glycogen phosphorylase
3. Acetyl CoA Carboxylase
4. G-6-PD enzyme

Correct answer: 2. Glycogen phosphorylase

Explanation: Phosphorylation is done by hormone glucagon. Glucagon is active in fasting or under catabolic situation. So, enzymes of catabolic pathway will be active in phosphorylated state. Enzyme Involved in Pathway Nature of Pathway Phosphorylated state Glycogen synthase Synthesis of glycogen Anabolic Inactive Glycogen phosphorylase Glycogen breakdown Catabolic Active Acetyl-CoA carboxylase Fatty acid synthesis Anabolic Inactive G-6-PD HMP Anabolic Inactive Extra Information: All catabolic enzymes are active in phosphorylated state. All anabolic pathway enzymes are active in dephosphorylated state except for Citrate lyase